Glucose on reduction with sodium amalgam forms:
1. Dulcitol
2. Sorbitol
3. Mannitol
4. Mannitol and sorbitol

Correct answer: 2. Sorbitol

Explanation: Ans. B. SorbitolReduction of sugars in the presence of sodium amalgam yields corresponding alcohols.D-Glucose = D-SorbitolD-Galactose = D-DulcitolD-Mannose = D-Mannitol